Which of the following are DNA sequencing techniques
1. Sanger's technique
2. Maxam and Gillbert techique
3. Next generation sequencing
4. All of the above

Correct answer: 4. All of the above

Explanation: All the 3 are techniques used in DNA sequencing.